Which of the following is a feature of the cell envelope of Gram-negative bacteria?
1. Teichoic acid present
2. Lipopolysaccharide Present
3. Porin proteins are absent
4. Periplasm absent

Correct answer: 2. Lipopolysaccharide Present

Explanation: FeaturesGram-PositiveGram-NegativePeptidoglycanThick layerThin layerTeichoic acidsPresentAbsentOuter membraneAbsentPresentLipopolysaccharide(endotoxin)AbsentPresentPorin proteinsAbsentPresent; allow passage ofmolecules through the outer membranePeriplasmAbsentPresentRef: Jawetz Medical Microbiology; 27th edition; Page no: 23